Citelli's angle is
1. Solid angle
2. CP angle
3. Sinodural angle
4. Part of Mac Ewan's triangle

Correct answer: 3. Sinodural angle

Explanation: Sinudural angle, also called Citelli's angle, is situated between the sigmoid sinus and middle cranial fossa dural plate. Solid angle is the area where three bony semicircular canal meet.